What is the rostral end of the corpus callosum called?
1. Genu
2. Splenium
3. Body
4. Anterior Horn

Correct answer: 1. Genu

Explanation: The corpus callosum is a large bundle of myelinated and non-myelinated fibers, the great white commissure that crosses the longitudinal cerebral fissure and interconnects the hemispheres. The body of the corpus callosum is arched; its anterior curved portion, the genu, continues antero ventrally as the rostrum. The thick posterior portion terminates in the curved splenium, which lies over the midbrain. Also Know: The corpus callosum is the largest of the interhemispheric commissures and is largely responsible for co-ordinating the activities of the two cerebral hemispheres.